Palmar interossei is absent in
1. Thumb
2. Middle finger
3. Ring finger
4. Little finger

Correct answer: 2. Middle finger

Explanation: Palmar interossei is absent im middle finger. Dorsal interossei is absent in Thumb & Little finger.